What is not seen with uremic lung?
1. Alveolar injury
2. Pulmonary edema
3. Interstitial fibrosis
4. Fibrinous exudate in alveoli

Correct answer: 3. Interstitial fibrosis

Explanation: Uremic lung Pathophysiology is based on uremia- induced increased permeability of pulmonary alveolar-capillary interfaces Leading to interstitial and intra-alveolar edema, atelectasis, alveolar hemorrhage, and pulmonary hyaline membrane formation. These changes are compounded by bleeding diathesis secondary to platelet dysfunction in advanced renal disease. The pulmonary symptoms and radiographic findings are reversible with hemodialysis